Respiratory center depression is caused by all, except
1. Opium
2. Strychnine
3. Barbiturates
4. Gelsemium

Correct answer: 2. Strychnine

Explanation: Ans. Strychnine